Fat embolism syndrome is most commonly seen after -
1. Femur fracture
2. Acetabular fracture
3. Pelvis fracture
4. Calcaneal fracture

Correct answer: 1. Femur fracture

Explanation: Ans. is 'a' i.e.. Femur fracture o Fat embolism means circulation of fat globule away from its site of origin,o When fat embolism causes symptoms it is called fat embolism syndrome,o Causes of fat embolism1. Fracture of long bone (most common) - Blunt trauma2. Soft tissue trauma3. Bums4. Parenteral lipid infusion5. Sickle cell crisis6. Recent Corticosteroid administration7. Acute pancreatitis8. D.M.9. Liposuction10. Decompression sicknesso Fractured of bone is the most common cause of fat embolism.o Amongst the long bones, femur fracture is associated with fat embolism most commonly,o Multiple fractures increase the risk offat embolism.